Most common complication after ERCP is
1. Acute Pancreatitis
2. Acute cholangitis
3. Acute cholecystitis
4. Duodenal perforation

Correct answer: 1. Acute Pancreatitis

Explanation: Complication perforation(1.3%)/hemorrhage (1.4%),pancreatitis (4.3%) and sepsis (3-30%). Bailey & Love 26th, 208